Which of the following is a marker for neural tube defects?
1. |Phosphatidylesterase
2. |Pseudocholinesterase
3. |Acetylcholinesterase
4. |Butyrylcholinesterase

Correct answer: 3. |Acetylcholinesterase

Explanation: Neural tube defects are associated with high levels of Acetylcholinesterase. Ref: Genetic disorders and Fetus, 4th Edition, Page 673; Ian Donald's Practical Obstetric Problem By Renu Misra, 6th Edition, Page 44